Which of the following is a pneumatic bone?
1. Tibia
2. Frontal bone
3. Clavicle
4. Femur

Correct answer: 2. Frontal bone

Explanation: Ans. B Frontal boneRef: Gray, 38th ed. pg. 436* Pneumatic bones are bones which contain air filled cavities for making the skull light weight, and aid resonance of voice and air conditioning. These include: Frontal, Ethmoid, Maxilla, Sphenoid and mastoid.Extra Mile* Sesamoid bones are patella, pisiform and fabella.* Membranous (dermal) bones are skull vault bones and facial bones.